Egg yields about K cal of energy
1. 50
2. 60
3. 70
4. 80

Correct answer: 3. 70

Explanation: Ans. is 'c' i.e., 70 o An egg weighing 60 grams contains. i) 6 gm of protein ii)6 gm of fat iii) 30 mg of calcium iv) 105 mg of iron v) 70 Kcal. of energy